Which of the following drug control lepromin reaction :
1. Dapsone
2. Streptomycin
3. Clofazimine
4. Ethambutol

Correct answer: 3. Clofazimine